Which of the following is NOT a prodrug :
1. Lisinopril
2. Enalapril
3. Levodopa
4. Sulindac

Correct answer: 1. Lisinopril

Explanation: Ans. is 'a' Lisinopril Examples of prodrugProdrugActive form* Levodopa*-Dopamine* Enalapril*-Enalaprilat* Sulindac*-Sulfide metabolite* Becampicillin*-Ampicillin* Sulfasalazine*-5-Aminosalicylic acid* Prednisone*-Prednisolone* Zidovudine-Zidovudine triphosphate* Cyclophosphamide*-AldophosphamideProdrugs offer following advantage over the active form :In being more stableHaving better bioavailabilityLess side effects and toxicity